Fungus which infects reticuloendothelial cells is -
1. Cryptococcus
2. Candida
3. Aspergillus
4. Histoplasma

Correct answer: 4. Histoplasma

Explanation: Ans. is 'd' i.e., Histoplasma Histoplasma capsulatum is a dimorphic fungus.It causes intracellular infection of reticuloendothelial system